Which of the following characteristics are TRUE or FALSE about osteopetrosis in a child? 1. Growth retardation 2. Intellectual disability 3. Multiple fracture 4. Cataract 5. Hepatosplenomegaly
1. 1,3, 5 True & 2,4 False
2. 1,3,4, True & 2,5 False
3. 1.3,4, True & 5,2 False
4. 2,3 False & 1,4,5 True

Correct answer: 1. 1,3, 5 True & 2,4 False

Explanation: It is an autosomal recessive disorder in which partly calcified cartilaginous intercellular ground substance is not regularly reabsorbed and replaced by regular osteoid tissue & bone. Clinical features are Multiple fractures, hepatosplenomegaly, growth retardation, blindness, dental problems, macrocephaly, deafness, etc. Ref: Ghai, 6th Edition, Page 600; Nelson, 18th Edition, Page 2882